Which of the following is an ionotropic receptor ?
1. Muscarinic cholinergic receptor
2. Nicotinic cholinergic receptor
3. Glucocorticoid receptor
4. Insulin receptor

Correct answer: 2. Nicotinic cholinergic receptor